A 7-year-old has a 4-mm maxillary midline diastema. Which of the following should be done?
1. Brackets should be placed to close it.
2. A radiograph should be taken to rule out the presence of a supernumerary tooth.
3. Nothing should be done. It will close on its own.
4. Nothing should be done. Treatment should be deferred until the rest of the permanent dentition erupts.

Correct answer: 2. A radiograph should be taken to rule out the presence of a supernumerary tooth.

Explanation: When a large diastema greater than 2 mm is present, it will probably not close on its own. Diagnostic tests, such as a radiograph, should be accomplished to rule out the presence of a supernumerary tooth, usually a mesiodens.